Treatment of choice for Kawasaki disease is :
1. Intravenous immunoglobulin
2. Steroids
3. Azathioprine
4. Aspirin

Correct answer: 1. Intravenous immunoglobulin

Explanation: All patients of Kawasaki's disease should be treated with intravenous immunoglobulin (IVIG).
Aspirin should be used for fever and inflammation. It should be continued if a coronary aneurysm develops.
Methylprednisolone should follow if disease symptoms persist after two injections of IVIG.
Drugs for refractory cases include infliximab, cyclophosphamide and methotrexate.